Which of the following option is true about ROC curve?
1. It is a method of evaluating the quality/performance of tests
2. It is plotted as test Sensitivity as x-coordinate versus its 1-Specificity (False positive rate FPR) as the y-coordinate
3. A perfect test has an area under the ROC curve (AUROCC) of >1
4. A decrease in sensitivity result in decrease in specificity

Correct answer: 1. It is a method of evaluating the quality/performance of tests

Explanation: ROC curve = Recicver. Operator characteristic curve. 1 - No use 2 - fair 3 - Good 4 - Excellent Area under the ROC cure = 1 - if specificity and sensitivity both are 100% ROC curve - it is a method of evaluating the quality / performance of tests.